A patient of moderate VSD in chronic CCF develops clubbing with no cyanosis. Diagnosis is
1. Shunt reversal
2. Long standing pulmonary edema
3. SABE
4. Pulmonary artery hypertension

Correct answer: 3. SABE

Explanation: SHUNT REVERSAL / EISENMENGER SYNDROME: Refers to patients with the septal defect in which blood is shunted partially or completely from right to left as a result of the development of pulmonary vascular disease resulting in apparent cyanosis.Long-standing pulmonary edema is characterized by cyanosis, dyspnea.New onset clubbing without cyanosis in a patient with congenital heart defects indicates the development of SABE .Pulmonary arterial hypertension commonly occurs in large non-restrictive VSD and is unlikely in moderate VSD.